The following is true for Mycoplasmas except -
1. Multiply by binary fission.
2. Are sensitive to beta-lactam group of drugs.
3. Can grow in cell free media.
4. Require sterols for their growth

Correct answer: 2. Are sensitive to beta-lactam group of drugs.